Which of the following is primary prevention -
1. Screening test
2. Early diagnosis
3. Use of mosquito net
4. Restoration of lost function

Correct answer: 3. Use of mosquito net

Explanation: Ans. is 'c' i.e., Use of mosquito net Level of preventionExampleso Primordial preventiono Discouragement from adapting a harmful lifestyle, e.g. smokingo Primary preventiono Immunization (vaccination)o Chemoprophylaxiso Nutritional supplementation programmeso Chlorination of watero Using a mosquito neto Health educationo Secondary preventiono Screening testo Case finding programmeso Early diagnosis & treatmento Tertian,' preventiono Disability limitationy Resting the affected limb in neutral position in PRPP to prevent deformityo Rehabilitationy Establishing schools for blindy Provision of aids for crippledy Reconstructive surgery in leprosyy Muscle re-education and graded exercise in neurological disorder like polioy Changing profession for a more suitable one